Foveola is at what distance from optic disc margin
1. 1 mm
2. 2 mm
3. 3 mm
4. 4 mm

Correct answer: 3. 3 mm

Explanation: Distance = 2 disc diopters
     = 2 x 1.5 mm
     = 3 mm